A Bennet's fracture is difficult to maintain in reduced position because of the pull of
1. Extensor pollicis longus
2. Extensor pollicis brevis
3. Abductor pollicis longus
4. Abductor pollicis brevis

Correct answer: 3. Abductor pollicis longus

Explanation: C i.e. Abductor pollicis longus